Proximal urethra contains which epithelium
1. Cuboidal Epithelium
2. Columnar Epithelium
3. Stratified Epithelium
4. Transitional Epithelium

Correct answer: 4. Transitional Epithelium

Explanation: The proximal urethra is lined by transitional epithelium cells. Mid urethra - Pseudostratified or stratified columnar epithelium. Distal urethra is lined by stratified squamous epithelium cells